Which of the following defines isotopes:
1. Same atomic number and same mass number
2. Different atomic number and same mass number
3. Different atomic number and different mass number
4. Same atomic number and different mass number

Correct answer: 4. Same atomic number and different mass number

Explanation: Ans. Same atomic number and different mass number